Which of the following is the branch of forensic medicine which is a study of death in all its aspects?
1. Trichology
2. Ornithology
3. Odontology
4. Thanatology

Correct answer: 4. Thanatology

Explanation: Thanatology deals with death in all its aspects. It deals with scientific study of death, types of death, postmortem changes, and its medicolegal significance. The word "death" denotes the death of a human being (S.46, I.P.C.). Ref: The Essentials of Forensic Medicine and Toxicology, 27th edition, Page 119.